Which of the following is an oral manifestation of lichen
planus?
1. Dentinogenesis imperfecta
2. Fordyce spots
3. White, chalky enamel. surface
4. White radiating lines on the buccal mucosa

Correct answer: 4. White radiating lines on the buccal mucosa